The nerve that emerges from the two superficial heads of lateral pterygoid muscle is
1. Buccal nerve
2. Massetric nerve
3. Nerve to pterygoid muscle
4. Inferior alveolar nerve

Correct answer: 1. Buccal nerve